Which in Pan T-cell marker -
1. CD3
2. CD8
3. CD45
4. CD30

Correct answer: 1. CD3

Explanation: Ans. is 'a' i.e., CD3 Important facts about CD markers# CD-3 is known as Pan T-cell marker.# The most clearcut differentiation between T and B cells is by their surface markers, for example, by Demonstration of CD3 of T cells and Ig on B cells.# CD-95 is a death receptor, member of TNF receptor family. It is involved in apoptosis.